Expired medicines must be put in ____colored biomedical waste management bag:-
1. White
2. Yellow
3. Red
4. Black

Correct answer: 2. Yellow

Explanation: Expired medicines must be put in yellow colored biomedical waste management bag. Treatment and disposal is done by; Incineration/ plasma pyrolysis/ encapsulation. Dry Heat - Temp > 185deg C. Plasma Pyrolysis - > 1200 deg C. Extra edge: - No healthcare system would establish on-site treatment & disposal facility if a Common Biomedical Treatment facility is available within 75kms.